A 10-year-old boy, Pappu, died of acute rheumatic fever. All the following can be expected at autopsy except -
1. Aschoff nodules
2. Rupture of chordae tendineae
3. McCallum patch
4. Fibrinous pericarditis

Correct answer: 2. Rupture of chordae tendineae

Explanation: Rupture of chordae tendinae is a feature of chronic rheumatic heart disease.